Definition of recurrent pregnancy loss classically is
1. Two or more consecutive pregnancy losses < 20 weeks' gestation or with a fetal weight <500 g
2. Three or more consecutive pregnancy losses < 20 weeks' gestation or with a fetal weight <500 g
3. Four or more consecutive pregnancy losses < 20 weeks' gestation or with a fetal weight <500 g
4. Five or more consecutive pregnancy losses < 20 weeks' gestation or with a fetal weight <500 g

Correct answer: 2. Three or more consecutive pregnancy losses < 20 weeks' gestation or with a fetal weight <500 g

Explanation: Recurrent pregnancy loss (RPL) is classically defined as three or more consecutive pregnancy losses <20 weeks' gestation or with a fetal weight <500 g. Mindful of this threshold, data from two large studies showed the risk for a subsequent miscarriage to be similar whether the following two or three prior pregnancy losses Hence the American Society for Reproductive Medicine (2013) now defines RPL as two or more failed pregnancies confirmed by sonographic or histopathological examination. Reference: William's Obstetrics; 25th edition; Chapter 18; Abortion